A patient is presenting with Non pruritic, Painless erythema surrounded by vesicles with erythematous halo on face & hand. There is history of drug intake for fever 2 weeks back. The patient is suffering from –
1. Bullous pemphigoid
2. Erythema multiforme
3. Herpes zoster
4. Dermatitis herpatiformis

Correct answer: 2. Erythema multiforme